Most important factor for a test to be a good screening test is?
1. Specificity
2. Sensitivity
3. Reliability
4. Predictive value

Correct answer: 2. Sensitivity

Explanation: Ans. is 'b' i.e., Sensitivity o For screening a disease the most important parameter is sensitivity Sensitivity is defined as the ability of a test to identify correctly all those who have the disease i.e. true positives as it reflects the ability to detect those who have the disease amongst the hidden cases in the community. o For confirming a patient as diseased most important parameter is specificity Specificity is defined as the ability of a test to identify correctly all these who do not have the disease i.e. true negative.